Thumb sucking is normal upto:
1. upto 1½ years
2. 3½ - 4 years
3. 6 - 8 years
4. 4 - 6 years

Correct answer: 2. 3½ - 4 years